Labile toxin of E.coli can be detected by the following methods of incubation except ?
1. Into infant rabbit bowel
2. Into adult rabbit skin
3. Infra gastrically into infant Mouse
4. Into Tissue Culture of Chinese Hamster ovary cells

Correct answer: 3. Infra gastrically into infant Mouse

Explanation: Ans. is 'c' i.e., lntra gastrically into infant mouse Methods for detection of ETEC enterotoxins Assay LT ST In vivo tests +- + + ? Ligated rabbit deal loop Read at 6 hours Read at 18 hours Infant rabbit bowel + + Infant mouse intragastric (4 hours) - + Adult rabbit skin (vascular permeability) + ? In vitro tests Tissue culture tests Rounding of Y1 mouse adrenal cells Elongation of chinese hamster ovary (CHO) cells + ? Serological tests ELISA + (ST-ELISA with monocolonial antibody) Passive agglutination tests, passive immune - hemolysis, precipitin (Eiken's) test + Genetic tests + DNA probes +